In dentifrices, concentration of fluoride is:
1. 800 ppm
2. 2000 ppm
3. 1000 ppm
4. 600 ppm

Correct answer: 3. 1000 ppm

Explanation: Topical fluoride products can be divided into 2 broad categories:

Professionally applied products
Professionally applied fluoride products are those medicaments typically dispensed by dental professionals in the dental office and usually involve the use of high fluoride concentration products, ranging from 5000 and 19000 ppm, which is equivalent to 5-19 mgF/ml.
Self-applied products
Self-applied fluoride products are usually bought and dispensed by the individual patient, but at the recommendation of dental personnel. These products include fluoride dentifrices, mouthrinses and gels and typically are low fluoride concentration products ranging from 200 to 1000 ppm or 0.2 -1.0 mg fluoride/ml.

Essentials of preventive and community dentistry
Soben Peter
5th edition
page no. 252